Management of third degree utero-vaginal prolapse in woman who wants to have a child in future is?
1. Le fort's repair
2. Shirodkar's Modified Sling Operation
3. Manchester operation
4. Fothergill's repair

Correct answer: 2. Shirodkar's Modified Sling Operation

Explanation: ANSWER: (B) Shirodkar's Modified Sling OperationREF: Shaw 13th ed p. 329Repeat December 2008Abdominal sling operations have been designed for young women suffering from second or third degree uterovaginal prolapse and are desirous of having children.